Which metabolic anomaly is seen in Pyloric stenosis-
1. Hypochloremic Alkalosis
2. Metabolic acidosis with normal anion gap
3. Metabolic acidosis with increased anion gap
4. Hypocalcemia

Correct answer: 1. Hypochloremic Alkalosis

Explanation: Ans. is 'a' i.e., Hypochloremic Alkalosis o The biochemical abnormalities seen are:1. Hypokalemia2. Alkalosis and3. Hypochloremia4. Paradoxical aciduria